Lifetime for as long as 10 Years is of which IUCD -
1. Cu T 200
2. Cu 250
3. CuT 380 A
4. Progestasert

Correct answer: 3. CuT 380 A